Used for averting tobacco dependence is:
1. Buspirone
2. Methadone
3. Bupropion
4. Buprenophrine

Correct answer: 3. Bupropion

Explanation: Drugs approved for tobacco dependence are Bupropion (NDRI) Varenicline (new drug)